At toxic doses, zero order kinetics is seen in:
1. Penicillin
2. Phenytoin
3. Valproate
4. Carbamazepine

Correct answer: 2. Phenytoin